A patient presents with vomiting and severe colicky abdominal pain. He underwent bariatric surgery 5 years ago. He is advised to undergo an emergency reoperation. Which of the following procedures did he most likely undergo 5 years ago?
1. Laparoscopic Roux-en-Y gastric bypass
2. Laparoscopic adjustable gastric banding
3. Sleeve gastrectomy
4. Biliopancreatic division

Correct answer: 1. Laparoscopic Roux-en-Y gastric bypass

Explanation: Patient must have underwent Laparoscopic Roux-en-Y gastric bypass 5 years ago Now presented with internal hernia- late complication of gastric bypass surgery Closure of hernia defects at the time of gastric bypass surgery reduces the incidence of symptomatic internal hernias in future.